Incisive foramen transmits:
1. Greater palatine artery and greater palatine nerve
2. Greater palatine artery and lesser palatine nerve
3. Greater palatine artery and sphenopalatine nerve
4. Greater palatine artery and nasopalatine nerve

Correct answer: 4. Greater palatine artery and nasopalatine nerve

Explanation: Incisive foramina is located behind the central incisor teeth in the incisive fossa of the maxilla (hard palate).
It receives the nasopalatine nerves from the floor of the nasal cavity along with the greater palatine vessels supplying the mucous membrane covering the hard palate of the mouth.